Which of the following is a Preferential COX-2 inhibitor?
1. Nimesulide
2. Diclofenac
3. Aceclofenac
4. All of the above

Correct answer: 4. All of the above